All of the following are supplied by recurrent laryngeal nerve except: (Repeat)
1. Cricothyroid
2. Posterior cricoarytenoid
3. Oblique ary tenoids
4. Transverse arytenoids

Correct answer: 1. Cricothyroid

Explanation: Ans A (Cricothyroid) Ref: Gray's Anatomy, 40th edition, pg. 700Explanation:Nerve Supply of LarynxMotorAll intrinsic muscles of the laryngx are supplied by recurrent laryngeal nerve except for cricothyroid which is supplied by external laryngeal nerveSensoryUpto the level of vocal fold is supplied by- internal laryngeal nerveBelow the level of vocal cord is supplied by recurrent laryngeal nerve